Treatment of choice for stone in Submandibular duct compressing distal to Lingual nerve is
1. Submandibular excision
2. Antibiotics
3. Intraoral removal
4. Observe

Correct answer: 3. Intraoral removal

Explanation: Distal Stones are removed by intraoral method.
Proximal stones are removed by submandibular excision.